A cherry red spot is seen in fundus in
1. CRV obstruction
2. Diabetic retinopathy
3. Trauma
4. Retinitis pigmentosa

Correct answer: 3. Trauma

Explanation: C i.e.Trauma